Acute graft versus host disease reaction occurs in all EXCEPT
1. Liver
2. Adrenal
3. Gut
4. Skin

Correct answer: 2. Adrenal

Explanation: (Adrenal) (125 - R) (134- Basic pathology 8th)* Two major problems complicate this form of transplantation bone marrow transplant rejection and graft versus host disease (GVHD)* Acute graft versus host disease (occurring due to weeks after transplant) causes epithelial necrosis in three principal target organs - liver, gut and skin